Organic causes of constipation in infant are all except –a)  High fibre dietb)  Cystic fibrosisc)  Hypothyroidismd)  Hyperthyroidism
1. b
2. c
3. ac
4. ad

Correct answer: 4. ad

Explanation: Constipation in infants and children
Constipation is extremely common in pediatric population. The vast majority of cases (90-95%) are functional i.e. 90-95% have functional constipation with no organic disease. In 1-5% cases, the organic disease can be diagnosed as cause of constipation, i.e. only 1-5% have organic causes of constipation.
Organic causes of constipation are:

Intestinal: Hirschprung disease, Anal/rectal stenosis, Anal fissure, anteriorly displaced anal opening, strictures.
Drugs: Narcotics, vincristine, Psychotropics.
Metabolic/endocrine: Cystic fibrosis, hypothyroidism, Panhypopituitrism.
Neuromuscular: Cerebral palsy, Psychomotor retardation, spinal cord lesions, Myotonic dystophy, Neuropathy or myopathy of GIT.
Other causes: Low fibre diet, Milk protein allergy.